Audit test is used for which of the following?
1. Alcohol use disorder
2. Opioid use disorder
3. Sexual abuse
4. Cannabis abuse

Correct answer: 1. Alcohol use disorder

Explanation: AUDIT is used for screening of alcohol use disorders. A- Alcohol U- Use D- Disorder I- Identification T- Test